Epidemiology of cholera in England was clasified by
1. John Snow
2. Winslow
3. Chadwick
4. Howard huges

Correct answer: 1. John Snow

Explanation: An english epidemiologist John Snow studied the epidemiology of cholera in London from 1848 to 1854. Ref : Park's Textbook of Preventive and Social Medicine; 23rd edition